A child presented with anemia, kinky hair, intellectual disability and seizures. Which of the following is the most likely diagnosis?
1. Menkes disease
2. Down syndrome
3. Iron deficiency anemia
4. Lesch Nyhan syndrome

Correct answer: 1. Menkes disease

Explanation: a. Menkes disease(Ref: Nelson 20/e p 1849)Menke disease is a X-linked recessive multisystem disorder that mainly involves CNS & usually presents in early infancy. Scalp hair become hypopigmented, sparse, short, and brittle. Hair microscopy reveals pili torti (twisted hair) & trichorrhexis nodosa (fractures of the hair shaft at regular intervals).